Gutter fracture results from -
1. Injury with a large round object
2. Bullet injuries
3. Automobile accident
4. Falling from a height

Correct answer: 2. Bullet injuries

Explanation: Gutter fracture : When a part thickness of bone is removed (fracture involves only the outer table of skull), e.g. glancing (oblique) bullet wounds in firearm injury.